Smallest Virus is ?
1. Herpes virus
2. Adenovirus
3. Parvovirus
4. Poxvirus

Correct answer: 3. Parvovirus

Explanation: Ans. is `c' i.e. Parvovirus